Uro-rectal septum separates the cloaca into?
1. Rectum and bladder
2. Anus and urethra
3. Allantois and blader
4. Rectum and urogenital sinus

Correct answer: 4. Rectum and urogenital sinus

Explanation: D i.e. Rectum and urogenital sinus